Griseofulvin is used in –
1. Tinea capitis
2. P. versicolor
3. Candidiasis
4. ALL

Correct answer: 1. Tinea capitis